All of the following drugs are eliminated by kidney except –
1. Pancuronium bromide
2. Atracurium besylate
3. Vecuronium bromide
4. Pipecuronium

Correct answer: 2. Atracurium besylate